Which is not a first-generation chemical plaque control agent?
1. Phenol
2. Antibiotics
3. CHX
4. Sanguinarine

Correct answer: 3. CHX

Explanation: Chemical plaque control agents
First generation:

Eg: Antibiotics, phenol quaternary ammonium compounds and sanguinarine.

Second generation:

Bisbiguanides (Chlorhexidine)

Third generation

Delmopinol